Rigor mortis occurs due to:
1. Muscle of the body began to relax
2. Capillo-venous distension in the most dependent body parts
3. Muscle of the body began to stiffen
4. Mummification of the body tissues

Correct answer: 3. Muscle of the body began to stiffen

Explanation: Ans. C: Muscle of the body began to stiffen A few hours after the death, the joints of the body stiffen and become locked in place. This stiffening is called rigor mortis. Depending on temperature and other conditions, rigor mortis lasts approximately 24- 48 hours in winter and 18-36 hours in summer. The phenomenon is caused by the skeletal muscles partially contracting. The muscles are unable to relax, so the joints become fixed in place Rigor mortis can be used to help estimate time of death. The onset of rigor mortis may range from 1-2 hours, depending on factors including temperature (rapid cooling of a body can inhibit rigor mortis, but it occurs upon thawing). Maximum stiffness is reached around 12-24 hours post mortem. It first starts in involuntary muscles (myocardium) Eyelids, neck and jaw muscles are affected first, with the rigor then spreading to other parts of the body. The joints are stiff but after some time general tissue decay and leaking of lysosomal intracellular digestive enzymes will cause the muscles to relax.